Which of the following immunosuppressant drugs is nephrotoxic?
1. Azathioprine
2. Cyclophosphamide
3. Mycophenolate mofetil
4. Tacrolimus

Correct answer: 4. Tacrolimus

Explanation: Tacrolimus and cyclosporine toxicity include nephrotoxicity, neurotoxicity, hyperglycemia, hypertension, hyperkalemia and GI complaints. Cyclosporine also cause hirsutism, which is not seen with tacrolimus use.